All are an anti-craving agent for alcohol except -
1. Lorazepam
2. Naltrexone
3. Topiramate
4. Acamprosate

Correct answer: 1. Lorazepam

Explanation: Treatment of alcohol dependence

Detoxification (treatment of withdrawal) BZDs are the drugs of choice, e.g. chlordiazepoxide (1st choice), Diazepam (2"d choice).
Maintenance after detoxification (to prevent relapse and maintenance of abstinence):-


Aversive agents (deferent agents):- Disulfiram, CCC, metronidazole, Natrafezole.
Anticraving agent:- Naltrexone, Acamprosate, fluoxetine, Topiramate, Nalmefene.